Consider the following statements; giant cells are a
characteristic histopathologic finding in
1. Apthous ulcers
2. Keratocyst
3. Brown tumor of hyper parathyroidism
4. Dentigerous cyst

Correct answer: 3. Brown tumor of hyper parathyroidism